Diffusion of lipid-insoluble substances across the cell membrane depends on all of the following except
1. Hydrated radius
2. Electrical charge
3. Lipid solubility
4. Shape

Correct answer: 3. Lipid solubility

Explanation: Ans: C. Lipid solubility(Ref: Principle of medicalphysiolog p. 712).Simple diffusion of lipid-soluble substancesThe rate of diffusion through the lipid bilayer of the cell membrane is directly proportional to the solubility of a substance in lipids.Therefore, molecules of substances like orygen, nitrogen, carbon dioxide, alcohol, steroid hormones and weak organic acids and bases, being lipid soluble, diffuse very rapidly through the lipid bilayer of the cell membrane.